A lady has changed multiple boy friend in last 6 months and she breaks the relationship, she attempted suicide many time. Most likely diagnosis is ?
1. Borderline personality
2. Post traumatic stress
3. Acute depression
4. Acute panic attack

Correct answer: 1. Borderline personality